Amyloid depostion and raised serum calcitonin levels are seen in which thyroid tumor?
1. Papillary carcinoma
2. Follicular carcinoma
3. Medullary carcinoma
4. Anaplastic carcinoma

Correct answer: 3. Medullary carcinoma

Explanation: Acellular amyloid deposits derived from calcitonin polypeptides are present in stroma in many cases of medullary thyroid carcinoma. Calcitonin is readily demonstrable within cytoplasm of tumor cells & stromal amyloid by immunohistochemical methods. In addition to circulating calcitonin, secretion of carcinoembryonic antigen by neoplastic cells is useful biomarker, especially for presurgical assessment of tumor load & in calcitonin-negative tumors.